In morbid obesity, BMI is ?
1. >25
2. >30
3. >35
4. >40

Correct answer: 4. >40

Explanation: park's text book of preventive and social medicine 23rd edition. deg>40-co morbidity very severe .it is class3 obesity .